Carbonic anhydrase is an enzyme that occurs in plants, bacteria, and animals and is involved in the formation of which chemical?
1. Carbon dioxide from carbon and oxygen
2. Carbonic acid from carbon dioxide and water
3. Bicarbonate ion from carbonic acid
4. Hydrochloric acid

Correct answer: 2. Carbonic acid from carbon dioxide and water

Explanation: Carbonic anhydrase catalyzes the formation of carbonic acid from carbon dioxide and water. It is not involved in the formation of carbon dioxide from carbon and oxygen, bicarbonate ion from carbonic acid, hydrochloric acid, or hypochlorous acid.